Syndromes associated with jaundice include all EXCEPT
1. Gilbert's syndrome
2. Dubin-Johnson syndrome
3. Gardner's syndrome
4. Rotor's syndrome

Correct answer: 3. Gardner's syndrome